A young boy, Hod Lai, developed respiratory distress. On examination, the chest X-ray showed hyperinflation of one lung. Which of the following is the most possible diagnosis:
1. Congenital lobar emphysema
2. Foreign body aspiration
3. Bronchiectasis
4. Atelectasis

Correct answer: 2. Foreign body aspiration